Fanconi's anemia-false is-
1. Autosomal recessive
2. Pancytopenia
3. Type I RTA
4. All are true

Correct answer: 3. Type I RTA

Explanation: Ans. is 'c' i.e., Type I RTA Fanconi anemiaAutosomal recessivePancytopeniaHyper pigmentation of trunk, neck, and inlertriginous area.Growth failureFanconi facies (small head, small eyes)Renal abormalityProximal R TA (type IIRTA)Renal tubular acidosis 3 typesDistal RTA (type I)Proximal RTA (type II)Hyperkalemic R TA (type IV)